Which of the following statements are true regarding an immunocompromised person?
1. Increased susceptibility to virus and fungi in T cell deficiency
2. Increased susceptibility to capsulated bacteria in B cell deficiency
3. Increased susceptibility to pyogenic infections in granulocyte deficiency
4. All the above

Correct answer: 4. All the above

Explanation: In humoral immune deficiency, affected components are B cells, plasma cells orantibodies. Causes are, primary humoral, multiple myeloma, chronic lymphoid leukemia, AIDS. In T cell deficiency, T cells are affected. Main causes are marrow and other transplantation, AIDS, cancer chemotherapy, lymphoma, glucocorticoid therapy. In neutropenia, neutrophil granulocytes are affected. Causes are, chemotherapy, bone marrow transplantation, dysfunction, such as chronic granulomatous disease. Congenital deficiencies are the reason for complement deficiency.